Delusion of grandiosity is commonly seen in:
1. Schizophrenia
2. Depression
3. Mania
4. Dementia

Correct answer: 3. Mania

Explanation: Ans. Mania